Which pathway can use propionic acid:
1. Glycolysis
2. Gluconeogenesis
3. Glycogenolysis
4. Glycogenesis

Correct answer: 2. Gluconeogenesis

Explanation: Ans. B. GluconeogenesisOdd chain fatty acids can act as substrates for gluconeogenesis, since Propionyl CoA-the product of their oxidation can enter TCA cycle through formation of Succinyl CoA, hence can contribute towards Glucose production.